A 19-year-old woman presents to her GP with conjunctivitis. This has occurred in early summer for the last five years, each time lasting for about six weeks. Choose the most appropriate drug from the choices below:
1. Atropine
2. Antazoline
3. Pilocarpine
4. Phenylephrine

Correct answer: 2. Antazoline

Explanation: This woman has seasonal allergic conjunctivitis (hay fever) and her symptoms should respond to a topical antihistamine such as antazoline.